All are subjective tests for audiometry except
1. Tone decay
2. Impedance audiometry
3. Speech audiometry
4. Pure tone audiometry

Correct answer: 2. Impedance audiometry

Explanation: It is an objective test, widely used in clinical practice and is particularly useful in children. It consists of: (a) Tympanometry (b) Acoustic reflex measurements. Ref: Dhingra; 6th Edition; pg no 24